Maximum permissible radiation dose in pregnancy is –
1. 0.5 rad
2. 1.0 rad
3. 1.5 rad
4. 2 rad

Correct answer: 1. 0.5 rad

Explanation: Maximum permissible dose in pregnancy is 5 mSv (0.5 rem). 

Rem = Rad x Quality factor.

Main radiation exposure during pregnancy can be by X-rays (radiography or CT), and the quality factor of X-rays is 1. 
That means Rem = Rad.
Therefore, the maximum permissible dose in pregnancy is 0.5 rem or 0.5 rad.